Which one of the following tooth brushing techniques is
most likely to clean the gingival sulcus?
1. Bass method
2. Charter's method
3. Modified stillman's method
4. Rolling stroke method

Correct answer: 1. Bass method